Lateral boundary of anatomical snuff box is formed by ?
1. EPL
2. EPB
3. FPL
4. FPB

Correct answer: 2. EPB

Explanation: EPB